A 50-year-old woman with long-standing rheumatoid arthritis complains of weakness and fatigue. She states that her stools have recently become black after taking a new nonsteroidal anti-inflammatory drug (NSAID). Gastroscopy shows numerous superficial, bleeding mucosal defects. Which of the following is the most likely diagnosis?
1. Acute erosive gastritis
2. Early gastric cancer
3. Helicobacter pylori gastritis
4. Menetrier disease

Correct answer: 1. Acute erosive gastritis

Explanation: - Clinical features given suggests the diagnosis of Acute erosive gastritis. - Acute hemorrhagic gastritis-imbalance between protective and damaging factors Necrosis of mucosa is seen RISK FACTORS- Alcohol Drugs - NSAIDS and Anti-cancer drugs Uremia Stress- ICU, burns- curling ulcer clinical feature- Epigastric pain, nausea and vomiting.